A patient with Pink color skin & mucosa , bitter almond smell from breath and frothy discharge. The cause of death is
1. H2S poisoning
2. CO poisoning
3. HCN poisoning
4. OPC poisoning

Correct answer: 3. HCN poisoning

Explanation: Characteristic of Cyanide poisoning : patient present with Tachypnoea followed by bradypnoea, Cyanosis is generally a late finding and usually does not occur until circulatory collapse and tachycardia are evident. Brick-red colour of skin and mucous membranes is said to be characteristic. The skin feels cold and clammy to the touch patient also have CNS manifestation like Headache, anxiety, agitation, confusion, convulsions, and coma. Pupils are often dilated